Naltrexone is:-
1. Mu receptor agonist
2. Delta receptor agonist
3. Kappa receptor agonist
4. Mu receptor antagonist

Correct answer: 4. Mu receptor antagonist

Explanation: Naloxone, naltrexone and nalmefene are potent mu receptor antagonists with significant blocking action at kappa and delta receptors also. Naloxone is given parenterally (ineffective orally) and is a very short acting drug. Nalmefene is also given parenterally but has a longer half life. Naltrexone is long acting orally effective opioid antagonist. Naloxegol-Naloxone conjugated to PEG polymer